Which of the changes occur in bone growth ?
1. Increased acid phosphatase
2. Increased urinary calcium
3. Increased bone nucleotidase
4. Increased osteocalcin

Correct answer: 4. Increased osteocalcin

Explanation: Ans. is 'd' i.e., Increased osteocalcin Bone growth o Osteoblasts are the cell in bone which form the bone.o Osteoclasts cause resorption of bone.o Osteoblasts and osteoclasts act in coordination and are considered the functional unit of bone know as the basic multicellular unit (BMU).o The processes of bone formation and resorption are tightly coupled, and their balance determines skeletal mass at any point of time.o During bone growth and development, bone formation, i.e. osteoblastic activity predominates ---)Osteocalcin is used as sensitive and specific serum marker for osteoblastic activity.